Which of the following muscle is not involved in damage of craninal part of accessory nerve
1. Cricopharyngeus
2. Palatopharyngeus
3. Stylopharyngeus
4. Salpingopharyngeus

Correct answer: 3. Stylopharyngeus

Explanation: Ans.'c' Stylopharyngeus